Vision 2020-Right to sight by WHO targets all except:
1. Cataract
2. Trachoma
3. Epidemic conjunctivitis
4. Onchocerciasis

Correct answer: 3. Epidemic conjunctivitis

Explanation: Ans. C: Epidemic conjunctivitis VISION 2020 is the global initiative for the elimination of avoidable blindness, launched in 1999, jointly by the World Health Organization (WHO) and the International Agency for the Prevention of Blindness (IAPB) with an international membership of NGOs, professional associations, eye care institutions and corporations.